To diagnose GERD , in 24 hour ambulatory pH testing the percentage of the day that the pH was less than 4 is:
1. > 20%
2. > 1%
3. > 5 %
4. > 1 %

Correct answer: 3. > 5 %

Explanation: The percentage of the day that the pH was less than 4 with values exceeding 5% indicative of GERD.Intraluminal impedance monitoring can be added to pH monitoring to detect reflux events irrespective of whether or not they are acidic. Ref : Harrison, E-18, P- 2428